Pharmacovigilance is used for -
1. To monitor drug toxicity
2. To monitor unauthorized drug manufacture
3. Monitoring of students
4. Check costs

Correct answer: 1. To monitor drug toxicity

Explanation: To monitor drug toxicity Repeat from May 10 Q no.65